All of the following are included in the laboratory criteria of APLA except
1. LA
2. anticardiolipin (aCL)
3. ANA
4. anti-beta2 glycoprotein antibodies

Correct answer: 3. ANA

Explanation: Laboratory criteria include (1) Lupus anticoagulant (2) anticardiolipin (aCL), and/or (3) anti-b2GPI antibodies, at intermediate or high titers on two occasions, 12 weeks apart. Laboratory criteria Venous thrombosis (e.g., deep vein thrombosis, pulmonary embolism, unusual site venous thromboembolism) Arterial thrombosis (e.g., coronary artery disease, transient cerebral ischaemia or stroke, peripheral artery disease) Obstetric complications: * Three or more unexplained consecutive spontaneous abortions <10," week of gestation. * One or more unexplained deaths of a morphologically normal fetus ?10," week of gestation. * One or more premature births of a morphologically normal neonate <34," week of gestation due to eclampsia, severe pre-eclampsia, or placental insufficiency Lupus anticoagulant, detected according to international guidelines Anti-cardiolipin antibodies, IgG, or IgM isotype, at high titre (>99," percentile of normal controls) Anti-82 glycoprotein-I antibodies, IgG, or IgM isotype, at high titre (>99th percentile of normal controls) Reference: Harrison's Principles of Internal Medicine; 20th edition; Chapter 350; Antiphospholipid Syndrome pg2527